A viral organism was isolated from a painful blister on the lip of a girl. The agent was found to double-stranded, linear DNA and was enveloped. Most likely causative organism is:
1. EBV
2. HSV
3. CMV
4. Pox

Correct answer: 2. HSV

Explanation: HSV